Which of the following is not an antidepressant?
1. Amitriptyline
2. Fluoxetine
3. Imipramine
4. Chlorpromazine

Correct answer: 4. Chlorpromazine